Primary amoebic meningitis caused by-
1. Naegleria fowleri
2. E.histolytica
3. E.coli
4. B.coli

Correct answer: 1. Naegleria fowleri